Mendelson syndrome is due to – a) Aspiration pneumonitisb) Chemical pneumonitisc) Oesophagitisd) Oesophageal spasm
1. ac
2. ab
3. ad
4. bc

Correct answer: 2. ab

Explanation: Mendelson's syndrome is aspiration pneumonitis caused by aspiration of gastric fluid into the lung.
Aspiration pneumonitis is a chemical pneumonitis due to chemical reaction produced by gastric acid.